DOC for Extrapulmonary cryptococcal infection without CNS involvement is
1. Amphotericin B
2. Flucytosine
3. Azoles
4. Fluconazole

Correct answer: 4. Fluconazole

Explanation: Cryptococcal infection with meningitis: DOC IS Amphotericin B with flucytosine,Extrapulmonary without CNS involvement: DOC is fluconazole Ref: Harrison 18th ed/.Pg 1650.